Type-1 hypersensitivity includes all of the following except:
1. Autoimmune hemolytic anemia
2. Anaphylaxis
3. Extrinsic asthma
4. Hay fever

Correct answer: 1. Autoimmune hemolytic anemia

Explanation: Ans. (a) Autoimmune hemolytic anemia HSN involving blood components are usually Type II HSN.